Dehydrogenase in HMP shunt acts on oxidative phase to Generate________.
1. NADP+
2. NADPH
3. FAD+
4. FADH

Correct answer: 2. NADPH

Explanation: Ans. b (NADPH). (Ref Harper, Biochemistry, 26th ed., 163)HEXOSE MONOPHOSPHATE SHUNT (Pentose phosphate pathway) serves two functions:1. As an alternative to glycolysis for glucose degradation to provide pentoses for nucliotide and nucleotide acid synthesis and2. To catalyse reduction of NADP+ to NADPH to support biosynthesis processes like fatty acid synthesis, that requireNADPH.# NADPH is product of 2 dehydrogenases, glucose-6 phosphate dehydrogenase and 6-phosphogluconate dehydrogenase, which convert glucose-6 phosphate to ribulose-5-phosphate (pentose).# Ribulose 5 phosphate undergoes isomerization to both xylulose 5 phosphate and ribose-5 phosphate and these 2 compounds serve as substrats for transketolase to yield seduheptulose -7-phosphate and glyceral dehyde 3,2 phosphate.# Transketolase also catalyses reaction between xylose-5-phosphate and erythrose-4 phosphate to form glyceraldehyde-3-phosphate and fructose-6-phosphate.# Transaldolase converts these to fructose-6-phosphate and erythrose-4-phosphate.Educational pointsSiteReactionMitochondriaFatty acid oxidation (b-oxidation), Acetyl-CoA production, Krebs cycle, Oxidative phosphorylation.CytoplasmGlycolysis, Fatty acid synthesis, HMP shunt, Protein synthesis (RER), Steroid synthesis (SER).BothHeme synthesis,Urea cycle,Gluconeogenesis.}Hint: HUGs take two.